B cell prolymphocytic leukemia patients differ from those with B cell chronic lymphocytic leukemia in -
1. Presenting at a younger age
2. Having a lower total leucocyte count
3. Having prominent lymphadenopathy
4. Having a shorter survival

Correct answer: 4. Having a shorter survival

Explanation: cell prolymphocytic leukemia (B-PLL) is a very rare B cell neoplasm comprised of so-called prolymphocytes, typically with involvement of the peripheral blood, bone marrow, and spleen. The name "prolymphocyte" is actually a misnomer, as the tumor cells in this disease are mature activated B cells The 5-year survival rate for people age 20 and older with CLL is 84%. It is important to remember that statistics on the survival rates for people with leukemia are an estimate. B-cellchronic lymphocytic leukaemia (CLL) develops from a type of white blood cell called B cells. It progresses slowly, usually affecting older adults. Survival rate for chronic lymphocytic leukemia CLL has a higher survival rate than many other cancers. The five-year survival rate is around 83 percent. This means that 83 percent of people with the condition are alive five years after diagnosis Ref Davidson 23rd edition pg 926-927